Bite cells are characteristic of -
1. G6PD deficiency
2. Thallasemia
3. Hereditary spherocytosis
4. Sideroblastic anaemia

Correct answer: 1. G6PD deficiency

Explanation: Exposure of G6PD deficient red cells to high levels of oxidants causes cross linking of reactive sulfhydril groups on globin chains which become denatured and form membrane bound precipitates known as Heinz bodies. As inclusion bearing red cells pass through the splenic cords, macrophages pluck out the Heinz bodies. As a result of membrane damage some of these partially devoured cells retain an abnormal shape appearing to have a bite taken out of it.This is called as bite cells. Reference; Robbins and Cotran Pathologic basis of disease.South Asia Edition volume 1.page no. 634